Cephalic index is used for
1. Race
2. Age
3. Sex
4. Stature

Correct answer: 1. Race

Explanation: Ans. is 'a' i.e., Race Cephalic index, height index & nasal index are used for determination of race. Cephalic index = maximum breadth of skull/ maximum length of skull x 100 Type of skull Cephalic index Race Dolichocephalic (long headed) 70 - 75 Pure Aryan, Aborigines, Negroes Mesaticephalic (medium headed) 75 - 80 Europeans and Chinese Brachycephalic (short headed) 80- 85 Mongolian